All of the following are true regarding cephalosporins, except:
1. Bacteriocidal agents
2. Active against only gram negative
3. Resistant to beta lactamases by Bird generation cephalosporins
4. None of the above

Correct answer: 2. Active against only gram negative

Explanation: Bacteriocidal agents